Which of the following causes Adynamic intestinal obstruction?
1. Gall stones
2. Bands
3. Intussusception
4. Paralytic ileus

Correct answer: 4. Paralytic ileus

Explanation: Ans: D (Paralytic ileus) Ref: The Washington Manual of Surgery, 6th edition, Bailey and Love's Short Practice of Surgery 25th Edition & Schwartz's Principles of Surgery, 9th EditionExplanation:Intestinal obstructionDefn: Lack of transit of intestinal contentsClassification according to pathology Dynamic: Where peristalsis is working against a mechanical obstructionAdynamic: Where there is absence of peristalsis without obstructionAbsent peristalsis (eg: Paralytic ileus)Non-propulsive form (ef: Mesenteric vascular occlusion. Pseudo-obstruction)Causes of Dynamic Intestinal ObstructionIntraluminal causesImpacted stoolsForeign bodiesBezoarsGall stonesAscariasisMeconium ileusIntramural causesAtresiaInflammatory stricture - TB, Crohn's diseaseMalignant stricture - Ca Colon, GISTExtramural causesIntraperitoneal bands and adhesionsHerniaVolvulusIntussusception